Middle meningeal artery passes through which foramen?
1. Foramen rotundum
2. Foramen spinosum
3. Foramen ovale
4. Jugular foramen

Correct answer: 2. Foramen spinosum

Explanation: The middle meningeal artery is a branch of the first part of the maxillary artery, given off in the infratemporal fossa. In infratemporal fossa, the artery runs upwards and medially deep to the lateral pterygoid muscle and superficial to the sphenomandibular ligament. Here it passes through a loop formed by the two roots of the auriculotemporal nerve. It enters the middle cranial fossa through foramen spinosum. Notes: Middle meningeal artery is important to the surgeon because this artery is the commonest source of extradural hemorrhage. Ref BDC volume 3,6th edition pg 201